which of the following is the etiology of werner syndrome with premature aging
1. increased length of telomere
2. short telomere with damaged DNA and loss of helicase
3. Increased advanced glycation and products
4. Decreased lipid peroxidation

Correct answer: 2. short telomere with damaged DNA and loss of helicase

Explanation: ref : robbins 10th ed